Anterior mesentery gives origin to
1. Greater omentum
2. Faciform ligament
3. Linorenal ligament
4. None of the above

Correct answer: 2. Faciform ligament

Explanation: The part of the ventral mesentery that attaches to the stomach is known as the ventral mesogastrium. The lesser omentum is formed, by a thinning of the mesoderm or ventral mesogastrium, which attaches the stomach and duodenum to the anterior abdominal wall. The lower part is dorsal mesentery. ref - BDC 6e vol2 pg235